Chronic myeloproliferative disorder includes all except
1. Erythroleukemia
2. Polycythemia
3. CML
4. Essential thrombocytosis

Correct answer: 1. Erythroleukemia

Explanation: Erythroleukemia: A form of acute myeloid leukemia (AML) that involves the cells that give rise to the erythrocytes (red blood cells). In erythroleukemia, the body produces large numbers of abnormal, immature red blood cells.Myeloproliferative neoplasms are a group of diseases in which the bone marrow makes too many red blood cells, white blood cells, or platelets. There are 6 types of chronic myeloproliferative neoplasms. Tests that examine the blood and bone marrow are used to detect (find) and diagnose chronic myeloproliferative neoplasms. Myeloproliferative neoplasms are a group of diseases in which the bone marrow makes too many red blood cells, white blood cells, or platelets. Normally, the bone marrow makes blood stem cells (immature cells) that become mature blood cells over time.There are 6 types of chronic myeloproliferative neoplasms. The type of myeloproliferative neoplasm is based on whether too many red blood cells, white blood cells, or platelets are being made. Sometimes the body will make too many of more than one type of blood cell, but usually one type of blood cell is affected more than the others are. Chronic myeloproliferative neoplasms include the following 6 types: Chronic myelogenous leukemia. Polycythemia vera. Primary myelofibrosis (also called chronic idiopathic myelofibrosis). Essential thrombocythemia. Chronic neutrophilic leukemia. Chronic eosinophilic leukemia.